All of the following are characteristic of Datura poisoning except -
1. Delirium
2. Diplopia
3. Pin-point pupils
4. Dysphagia

Correct answer: 3. Pin-point pupils

Explanation: In datura poisoning, there is dilatation of pupil (not pin point pupil).
Features of datura poisoning are described as '9D':-


Dry hot skin: 'Hot as a hare'.  
Dilatation of cutaneous blood vessels causing a facial flash. 'Red as a beet'.                    
Dilatation of pupil with loss accommodation and unresponsive to light (dilated and fixed pupil) : 'Blind as a bat'.
Dryness of throat and mouth: 'Dry 'Dry as a bone'.
Delirium (muttering delirium) : 'Mad as a wet hen'.
Drowsiness
Drunken gait
Dysphagia (difficulty in swallowing).
Difficulty in talking.